Drug implicated for prolonging QT interval in a premature baby is-
1. Domperidone
2. Metoclopramide
3. Cisapride
4. Omeprazole

Correct answer: 3. Cisapride

Explanation: Ans. is 'c' i.e., Cisapride